Which of the following statements about Brown Sequard Syndrome is true:
1. Ipsilateral loss of temperature
2. Contralateral loss of pain
3. Contralateral loss of vibration
4. Bilateral Segmental signs

Correct answer: 2. Contralateral loss of pain

Explanation: Answer is B (Contralateral loss of pain): Brown-Sequard Hemicord Syndrome is associated with contralateral loss of pain and temperature sense Ipsilateral Weakness (corticospinal tract) Ipsilateral Loss of joint position and vibratory sense (posterior column), Contralateral Pain and temperature sense (spinothalamic tract) one or two levels below the lesion Unilateral Segmental signs, such as radicular pain, muscle atrophy, or loss of a deep tendon reflex